Valvoplasty is done in following except
1. PS
2. MS
3. AS
4. Coarctation of aorta

Correct answer: 4. Coarctation of aorta

Explanation: A valvuloplasty, also known as balloon valvuloplasty or balloon valvotomy, is a procedure to repair a heart valve that has a narrowed opening. In this valve condition, the valve flaps (leaflets) may become thick or stiff, and they may fuse together (stenosis). This causes the valve opening to be narrowed and results in reduced blood flow through the valve. A valvuloplasty may improve blood flow through the valve and improve your symptoms Refer above image for indications Ref: Internet